Microorganism used as weapon in biological terrorism
1. Small pox Virus
2. Rabies Virus
3. Herpes Virus
4. Influenza C Virus

Correct answer: 1. Small pox Virus

Explanation: * Bioterrorism agents -variola (Smallpox), F. tularensis, bacilli anthracis, Clostridium botulinum,Y.pestis, Ebola virus